Which is the most common organ affected in primary blast injury?
1. Lung
2. Ear
3. Skin
4. Bowel

Correct answer: 2. Ear

Explanation: Most common organ affected in primary blast injury is ear. The next common organ is spleen.